Feces are not routinely inoculated in ?
1. Chocolate broth
2. Selenite F broth
3. Mc Conkeys agar
4. Blood agar

Correct answer: 1. Chocolate broth

Explanation: Ans. is 'a' i.e., Chocolate broth Inoculate media for routine stool culture are :?Blood agarMacConkey agarHektoen enteric HE ( agar)Selective media for campylobactor : Campy BAP, skirrowSelenite F broth or GN BrothXylose-lysine deoxycholate agar (XLD agar)For specific situations, selective media are used :-Vibrio : TCBS agar or Alkaline peptone broth.Yersinia : Cefsulodin-Irgasan-Novobiosin (CIN) agar or Phosphate Buffered Saline (PBS) broth.E.coli 0157: H7 : Sarbitol-MacConkey agar.